What is the acceptable noise level in Hospital (In decibel)?
1. 20-May
2. 20-35
3. 35-50
4. 70-85

Correct answer: 2. 20-35

Explanation: Acceptable noise levels (decibels) Residential Bed room 25 Living room 40 Educational Class room 30-40 Library 35-40 Hospital Wards 20-35 Industrial Workshop 40-60 Laboratory 40-50 Ref: Park's textbook of Preventive and Social Medicine, 21stedition, page-685.